Standardized mortality rate is -
1. Standardized for age
2. Standardized for disease
3. Standardized for regions
4. Standardized for a particular time period

Correct answer: 1. Standardized for age

Explanation: Standardized mortality rate is a indirect age standardization method. SMR ia aratio of total number of deaths that occur in study group to the number of deaths that would have been expected to occur if that study group had experienced the death rates of standard population. SMR=observed death/expected death*100 Parks textbook of preventive and social medicine.K Park. Edition 23.Pg no: 59